Contrast in X-rays is dependent on:
1. KV
2. mA
3. Duration of exposure
4. Distance between source and object

Correct answer: 1. KV

Explanation: Ans. KV